Turn-buckle cast is used for -
1. Fracture shaft humerus
2. Fracture shaft femur
3. Scoliosis
4. Cervical spine injury

Correct answer: 3. Scoliosis

Explanation: Turn- buckle cast and Risser's cast are used in case of SCOLIOSIS. Minerva cast- cervical spine disease. U-slab or hanging cast- fracture of humerus. Hip spica - fracture of femur. REF:Essential orthopaedics- Maheshwari-5 th edn- pg no 17.